A 11 year-old boy is brought to the physician with complaint that he gets up at night and while sleeping walks around the house for a few minutes before returning to bed. When parents try to wake him up he is confused and disoriented. Which of the following is the most appropriate treatment for him?
1. Tell the parents to maintain a safe environment and monitor the patient's symptoms
2. Start the patient on a low dose of benzodiazepines at night
3. Start the patient on a low dose of a tricyclic antidepressant
4. Tell the parents that the child would benefit from cognitive psychotherapy

Correct answer: 1. Tell the parents to maintain a safe environment and monitor the patient's symptoms

Explanation: The above given case is of sleep walking(somnambulism)There is no treatment required, rather, the goal is to monitor the patient's symptoms and maintain a safe environment until the disorder remits.